Destruction of right labyrinth causes nystagmus to
1. Right side
2. Left side
3. Rotatory nystagmus
4. No nystagmus

Correct answer: 2. Left side

Explanation: In sudden vestibular failure, the patient is found to have first degree, second degree and third-degree nystagmus to unaffected side., a so-called paralytic nystagmus (Ref: Diseases of EAR - Harold Rudman, Tony Wright - 6th Edition)